True regarding endo-metriosis associated dysmenorrhea is all except
1. More severe than primary dysmenorrhea.
2. Occurs 24 to 48 hours after start of menses.
3. Less responsive to NSAIDs.
4. Deep infiltrating endometriosis correlates with severity of dysmenorrhea.

Correct answer: 2. Occurs 24 to 48 hours after start of menses.

Explanation: Endometriosis associated dysmenorrhea typically precedes menses by 24 to 48 hours.